Which of the following is a rapid growth medium for Klebs-Loeffler Bacillus?
1. Cysteine-tellurite blood agar
2. Loeffler’s serum slope
3. Nutrient broth
4. None of these

Correct answer: 2. Loeffler’s serum slope

Explanation: Klebs-Loeﬄer Bacillus is another name of Corynebacterium diphtheria.
→ Enrichment is necessary.
→ Selective media: Cysteine-Tellurite blood agar or Tinsdale medium.
→ For rapid growth: Loeﬄer's serum slope (also for TB).
→ Special stain to see granules - Albert's, Neisser's and Ponder's. Granules are also called as Polar bodies since arranged in poles.